Tuberculosis of female genital tract is commonest is which age group :
1. Below 10 yrs
2. 10 - 20 yrs
3. 20 - 30 yrs
4. Above 60 yrs

Correct answer: 3. 20 - 30 yrs

Explanation: 20 - 30 yrs